Highest risk wilm's tumor among the following associated with
1. WAGR syndrome
2. Denys Drash syndrome
3. Beckwith - Weidemann syndrome
4. None of the above

Correct answer: 2. Denys Drash syndrome

Explanation: Syndrome
Risk of wilm's tumor


Denys Darsh syndrome
90% (maximum)


WAGR syndrome 
33%